Which of the following is the best-known metabolic function of the lung:
1. Inactivation of serotonin
2. Conversion of angiotensin-I to angiotensin-II
3. Inactivation of bradykinin
4. Metabolism of basic drugs by cytochrome P450 system

Correct answer: 2. Conversion of angiotensin-I to angiotensin-II

Explanation: B i.e. Conversion of angiotensin - Ito angiotension II.